A pt of BPD on lithium for 6months after fasting for a day presents with seizure coarse tremors confusion and weakness of limbs Whats the most accurate to diagnosis her condition
1. Serum Electrolyte
2. S Lithium
3. S creatinine
4. ECG

Correct answer: 2. S Lithium

Explanation: Lithium intoxication * Mild: Sleepy, Proximal muscle weaknes , Impaired memory, G-t: nausea, vomiting, diarrhea. * Moderate: !eurotoxic: Delirium, Convulsion, Coma, Incontinence, ivper- reflexia, Fasciculation, Parkinson-like : Ataxia. Un-coordination * Severe: Nenhrotoxic: Nocturia, Distal tubular acidosis, Impaired RFT. Cardiotoxic: ST-T change, QT prolong, Flat T Conduction delay, Hypotension. * Acute intoxication-- Less CNS depression. ref : kd tripathi pharmacology